Which is not a criteria for overcrowding ?
1. No. of persons
2. Sex separation
3. Door and window
4. Floor space

Correct answer: 3. Door and window

Explanation: Ans. is 'c' i.e., Door and window